Which of the following is false about Duchenne muscular dystrophy?
1. Duchenne muscular dystrophy is less severe than Becker's dystrophy
2. X-linked recessive
3. Dilated cardiomyopathy is seen
4. Intellectual impairement is common

Correct answer: 1. Duchenne muscular dystrophy is less severe than Becker's dystrophy

Explanation: Duchenne muscular dystrophy is more severe than Becker's dystrophy. Becker's dystrophy is similar to Duchenne muscular dystrophy with a genetic defect at the same locus (Xp21) but clinically less severe. Important differences between Duchenne and Becker's muscular dystrophy: Duchenne's dystrophy Becker's dystrophy Onset Age: 2-3 years Age: 5-15 years Weakness Progressive Variable Intellectual impairement Common Uncommon Prognosis Wheel chair dependent bby adolescence Ambulatory till early adult life Death By the age of 18-20 years By the age of 40-50 years Ref: Nelson textbook of pediatrics 21st edition Pgno: 3281